All of the following amino acids are converted to succinyl CoA, EXCEPT:
1. Methionine
2. Isoleucine
3. Threonine
4. Histidine

Correct answer: 4. Histidine

Explanation: Amino acids which are converted to succinyl CoA are: Methionine Isoleucine Threonine Valine